The person whose work on the radical cure of hernia immortalised his name was -
1. William Halsted
2. Eduardo Bassini
3. Mc Vay
4. Koontz

Correct answer: 2. Eduardo Bassini